Claw hand is caused by lesion of
1. Ulnar nerve
2. Median nerve
3. Axillary nerve
4. Radial nerve

Correct answer: 1. Ulnar nerve

Explanation: A greate than B Claw hand of 3rd bad 4th finger will be seen in isolated ulnar palsy as 1st ND 2nd fingers lumbricals are spared -----ulnar claw hand Claw hand of all fingers is seen in combined ulnar and median nerve palsy as all lumbricals and Interoosei are paralyzed -----true claw hand Refer ebnezar 4th/e p 336